Which of the following organs is not involved in calcium homeostasis?
1. Kidneys
2. Skin
3. Intestines
4. Lungs

Correct answer: 4. Lungs

Explanation: Ca2+ homeostasis is achieved by 3 hormones: PTH, calcitonin, and vit. D. Ca2+ levels are regulated from 3 tissues: bone, intestine, and kidneys. Skin has the precursor for vit. D synthesis. Vitamin D is involved in Ca2+ absorption from G.I.T.